Hemochromatosis associated with all except -
1. Pigmentation
2. Diabetes Mellitus
3. Gastric atrophy
4. Liver enlargement

Correct answer: 3. Gastric atrophy

Explanation: Ans. is 'c' i.e., Gastric atrophy